Paneth cells in the Mucosa of the small intestine secrete
1. Lysozyme
2. Bioactive peptides and bioamines
3. Bicarbonate
4. Pepsin and Rennin

Correct answer: 1. Lysozyme

Explanation: In the small intestine, Paneth cells residing at the bottom of the intestinal crypts are the key effectors of innate mucosal defense. -Paneth cells provide host defense against microbes in the small intestine. They are functionally similar to neutrophils. -Paneth cells secrete a number of antimicrobial molecules into the lumen of the crypt, thereby contributing to the maintenance of the gastrointestinal barrier. -Paneth cells are stimulated to secrete defensins, lysozyme & phospholipase A2. Ref: guyton and hall textbook of medical physiology 12 edition page number: 395,396,397